FAD linked dehydrogenase is:
1. Enyol reductase
2. Glyceraldehyde 3 phosphate dehydrogenase
3. Succinate dehydrogenase
4. Isocitrate dehydrogenase

Correct answer: 3. Succinate dehydrogenase

Explanation: Succinate dehydrogenase is FAD linked It is an enzyme involved in both TCA( Kreb's Cycle) & ETC( Electron Transport Chain). Succinate Dehydrogenase:Oxidation of Succinate to Fumarate. This is the only citric acid cycle enzyme that is tightly bound to the inner mitochondrial membrane. It is an FAD dependent enzyme. ADDITIONAL EDGE ON THIS TOPIC: FAD requiring enzymes are: Pyruvate Dehydrogenase (link reaction) Succinate dehydrogenase (TCA) Alphaketoglutarate dehydrogenase (TCA) Branched chain alpha keto acid dehydrogenase Complex II (ETC) Glutathione reductase (RBC) D-amino acid Oxidase Acyl CoA dehydrogenase Xanthine oxidase Glycerol3-phosphate dehydrogenase -mitochondrial form (involved in glycerol phosphate shuttle)